All of the following are signs of inflammation except
1. Pain
2. Swelling
3. Red ness
4. Absence of functional loss

Correct answer: 4. Absence of functional loss

Explanation: Ref Robbins 8/e p44: 7/e p 79,9/e p71 The external manifestations of inflammation, often called its cardinal signs, are heat (calor), redness (rubor), swelling (tumor), pain (dolor), and loss of function (functio laesa). The first four of these were described more than 2000 years ago by a Roman encyclopedist named Celsus, who wrote the then- famous text De Medicina, and the fifth was added in the late 19th century by Rudolf Virchow, known as the "father of modern pathology." These manifestations occur as conse- quences of the vascular changes and leukocyte recruitment and activation, as will be evident from the discussion that follows. Inflammation is normally controlled and self-limited.